An opioid which is an anti tussive action is?
1. Dextromethorphan
2. Oxeladin
3. Codeine
4. Narcotine

Correct answer: 3. Codeine

Explanation: ANSWER: (C) Codeine REF: KDT 5th ed p. 197ANTITUSSIVESOpioidsNon opioidsCodeinePholocodieneNoscapine or narcotineDextrpmethorphanOxeladin chlorphdianol